Irreversible injury to myocardium in MI occurs earliest by
1. Few seconds
2. 10 minutes
3. 20 minutes
4. 40 minutes

Correct answer: 3. 20 minutes

Explanation: Answer- C. 20 minuteshlyocardial function is more seflsith'e to kchemia (loss of contractility occurs within 60 seconds) than myocardial structure(irreversible injury occurs in 2O-40 minutes), thus myocardial necrosis begins at approximately 30 minutes after coronary occlusion